All of the following are innervated by trigeminal nerve except
1. Lateral pterygoid muscle
2. Medial pterygoid muscle
3. Stylohyoid muscle
4. Tensor veli palatini muscle

Correct answer: 3. Stylohyoid muscle

Explanation: The motor nucleus receives impulses from the right and left cerebral hemispheres, red nucleus and mesencephalic nucleus.fibres of motor root supply four muscles of mastication and four other muscles are tensor veli palatini, tensor tympani,mylohyoid and anterior belly of digastric. Ref BDC volume 3;sixth edition pg 367